Biochemical etiology of Alzheimer's disease relates it to :
1. Acetylcholine
2. GABA
3. Serotinin
4. Dopamine

Correct answer: 1. Acetylcholine

Explanation: A i.e. Acetyl choline